Central diabetes insipidus is characterised by -
1. Low plasma and low urine osmolality
2. High plasma and high urine osmolality
3. Low plasma and high urine osmolality
4. Low urine and high plasma osmolality

Correct answer: 4. Low urine and high plasma osmolality